Burking consist of
1. Smothering and traumatic asphyxia
2. Choking and drowning
3. Gagging only
4. Traumatic asphyxia only

Correct answer: 1. Smothering and traumatic asphyxia

Explanation: Burking is a method of homicidal smothering & traumatic asphyxia named after Burke & Hare Ref: The synopsis of forensic medicine & Toxicology 28th edition pg: 190